Which of the following Vitamin deficiency can lead to seizure soon after birth?
1. Thiamine
2. Riboflavin
3. Niacin
4. Pyridoxine

Correct answer: 4. Pyridoxine

Explanation: Pyridoxine dependency, a rare disorder, must be considered when generalized clonic seizures begin shortly after birth with signs of fetal distress in utero.